Li is best used in:
1. MDP - Bipolar
2. MDP - Unipolar
3. MDP - rapid cycles
4. Depression

Correct answer: 1. MDP - Bipolar

Explanation: A i.e. MDP-Bipolar